Bilateral Renal cell carcinoma is seen in-
1. Eagle Barett's syndrome
2. Beckwith Weideman syndrome
3. Von HippelLindau disease
4. Bilateral Angiomyolipoma

Correct answer: 3. Von HippelLindau disease

Explanation: Ans. (c) Von Hippel Lindau disease(Ref: Robbins 9th/pg 953-955)Bilateral Renal cell carcinoma is seen in Von Hippel lindau diseaseVon Hippel-Lindau (VHL) syndrome: 50-67% of individuals with VHL (nearly all, if they live long enough) develop renal cysts & bilateral, often multiple, renal cell carcinomas.Current studies implicate the VHL gene in the development of both familial and sporadic clear cell tumors.